Popcorn calcificatin in mammography is seen in ?
1. Fibroadenoma
2. Fat necrosis
3. Cystosarcoma phylloides
4. Ca Breast

Correct answer: 1. Fibroadenoma

Explanation: Ans is 'a' Fibroadenoma "Large lobulated (popcorn) calcification have a characteristic mammographic appearance" - Robbins Fibroadenomas are the most common benign tumors of breast.